Which of the following agent of meningitis can grow on chocolate agar but not on blood agar?
1. Neisseria meningitides
2. Haemophilus influenzae
3. Moraxella catarrhalis
4. Escherichia coli

Correct answer: 2. Haemophilus influenzae

Explanation: H influenzae growns in the presence of factor X and V avaliable in blood. Factor V is intracellular hence not available easily. Also sheep blood contain NAdase thatdestroys factor V. In chocolate agar, blood is poured in molten agar which inactivates NADase and lyses RBCs releasing factor V.